If each value of a given group of observation is multiplied by 10, the standard deviation of the resulting observation is -
1. Original std. Deviation × 10
2. Original std. Deviation/10
3. Original std. Deviation -10
4. Original std. Deviation itself

Correct answer: 1. Original std. Deviation × 10